A dead body in casuality showed fine leathery froth coming out of the month and nostrils; and it comes out profusely on pressing the chest wall; cause is -
1. Drowning
2. Morphine poisoning
3. Strangulation
4. Dhatura poisoning

Correct answer: 1. Drowning

Explanation: Fine lathery froth in mouth and nose which increases on chest compression → specific finding of drowning.